Synergistic muscle of right inferior oblique:
1. Right Superior oblique
2. Right Superior rectus
3. Left Inferior rectus
4. Left superior rectus

Correct answer: 2. Right Superior rectus

Explanation: Ans. (B) Right Superior rectus Agonist-antagonist pairs are muscles of the same eye that move the eye in opposite directions. The agonist is the primary muscle moving the eye in a given direction. The antagonist acts in the opposite direction to the agonist. For example, the right lateral rectus is the antagonist to the right medial rectus. * Synergists are muscles of the same eye that move the eye in the same direction. For example, the right superior rectus and right inferior oblique act synergistically in elevation. * Yoke muscles (contralateral synergists) are pairs of muscles, one in each eye, that produce conjugate ocular movements. For example, the yoke muscle of the left superior oblique is the right inferior rectus. in dextroversion , yoke muscle of right lateral rectus is left medial rectus